Periodontal fibres joining cemental surface of one tooth, to cemental surface of adjacent tooth are called:
1. Gingivodental
2. Cemental fibres
3. Horizontal fibres
4. Transseptal fibres

Correct answer: 4. Transseptal fibres